Which of the following statements regarding Plummer Vinson syndrome is not true:
1. It is otherwise known as Patterson- Brownkelly disease
2. Iron deficiency anemia is probably the basic cause
3. It occurs excluvely in men
4. Achlorhydria is usually present

Correct answer: 3. It occurs excluvely in men

Explanation: Ans: c (It occurs excluvely in men)Ref: Bailey & Love, 24th ed, p. 1024 & 23rd ed, p. 890